The most common shock in children is:
1. Hypovolemic
2. Cardiogenic
3. Septic
4. Neurogenic

Correct answer: 1. Hypovolemic

Explanation: Ans. (a) HypovolemicRef: Recognition and Initial Management of Shock. Nichols DG, ed. Roger's Textbook of Pediatric Intensive Care. Philadelphia PA: Lippincott, Wiliam and Wilkins; 2008. 372-383# Hypovolemic shock is the most common shock in children# It is the Most common type of shock for Adults also.